Theory of TMJ ankylosis is/are:
1. Condylar burst theory.
2. Synovial fluid leaks and attracts calcium ion.
3. Both.
4. No such theories are there for TMJ ankylosis.

Correct answer: 3. Both.